Flat capnogram is seen in all except:-
1. Disconnection of endotracheal tube
2. Accidental extubation
3. Ventilation failure
4. Endobronchial intubation

Correct answer: 4. Endobronchial intubation

Explanation: A sudden drop of ET Co2 to near Zero followed by absence of a Co2 waveform heralds a potentially life threatening problem. Differential diagnosis D/d. 1. Malposition of an Endotracheal tube into the pharynx or oesophagus. 2. Circuit Disconnection 3. Stoppage of ventilation 4. Cardiac arrest 5. Massive pulmonary embolism